Earliest and often the only presentation of TB kidney is
1. Increased frequency
2. Colicky pain
3. Hematuria
4. Renal calculi

Correct answer: 1. Increased frequency

Explanation: Ans. is 'a' i.e., Increased frequency Urinary frequency, dysuria, nocturia, hematuria, and flank or abdominal pain is common presentations. However, patients may be asymptomatic and the disease is discovered only after severe destructive lesions of the kidneys have developed. Urinalysis gives abnormal results in 90% of cases, revealing pyuria and hematuria. The documentation of culture-negative pyuria in acidic urine raises the suspicion of TB. IV pyelography, abdominal CT, or MRI may show deformities and obstruction, and calcifications and ureteral strictures are suggestive findings. Culture of three morning urine specimens yields a definitive diagnosis in nearly 90% of cases.